Valve usually not involved in rheumatic fever ?
1. Mitral
2. Aortic
3. Pumonary
4. Tricuspid

Correct answer: 3. Pumonary

Explanation: Ans. is 'c' i.e., Pumonary "The pulmonary valve is least frequently involved" In Rheumatic fever o Commonest valve to involve Mitral valve o 2nd commonest valve to involve Aortic valve o Least frequently involved value ---> Pulmonary valve o Most common valvular deformity produced --> Mitral regurgitation